Endometrial implants are deficient in which enzyme
1. Aromatase
2. 17 β - hydroxysteroid dehydrogenase type 2
3. 17 β - hydroxysteroid dehydrogenose type 1
4. 17 α - hydroxylase

Correct answer: 2. 17 β - hydroxysteroid dehydrogenase type 2

Explanation: 17 β - hydroxysteroid dehydrogenase type 2,which inactivates estrogen is absent in endometrial implants.